Not true about apoptosis is?
1. Cellular swelling
2. Nuclear compaction
3. Intact cell membrane
4. Cytoplasmic eosinophlia

Correct answer: 1. Cellular swelling

Explanation: Ans. is 'a' i.e., Cellular swelling Features of apoptosis1. Cell shrinkage : It is the earliest changes. It is due to damage to cytoskeletal proteins.2. Chromatin condensation (pyknosis)/nuclear compaction : It is the most characteristic feature.3. Formation of cytoplasmic blebs : It is the end stage of apoptosis.4. Cytoplasmic eosinophilia.5. Chromosomal DNA fragmentation : It is due to activity of endonuclease and caspases.6. Formation of apoptotic bodies : These are membrane bound round masses of eosinophilic cytoplasm withtightly packed orgaelles which may contain nuclear debries. Important examples of apoptotic bodies are civatte bodies, kamino bodies, councilman bodies, Tingible bodies, sunburn cells, satellitedyskeratotic cells, and eosinophilic globules.7. Phagocytosis of apoptotic cells and bodies by adjacent macrophages or healthy parenchymal cells.8. Considerable apoptosis may occur before it becomes apparent on histological section.* Two very important differentiating features from necrosis are :-A) Absence of inflammation.B) Intact cell membrane.